All of the following abnormalities are predisposing causes for torsion of the testis except:
1. Inversion of testis
2. Low investment of tunica vaginalis
3. Between 10 to 25 years of age
4. Separation of the epidigymis

Correct answer: 2. Low investment of tunica vaginalis

Explanation: INTRAVAGINAL TESTICULAR TORSION PREDISPOSING FACTORS Inversion of the testis is MC predisposing factor Bell clapper deformity Separation of the epididymis from the body of testis Blue dot sign : Torsion of Appendage of Testis Prehn's sign is negative (On elevation of testis. Pain relived in epididymoorchitis but not in torsion testis) - Deming sign: Affected testis at higher level because of twisting of cord - Angel sign: Opposite testis lies horizontally because of present of mesorchium IMAGING Color Doppler Tc99 pertechnate scan demonstrate poor radionuclide tracer uptake